Cork screw type of oesophagus on barium swallow is seen in which of the following
1. Cricopharyngeal spasm
2. Diffuse oesophageal spasm
3. Nut cracker oesophagus
4. Achalasia cardia

Correct answer: 2. Diffuse oesophageal spasm

Explanation: DIFFUSE OESOPHAGEAL SPASM It is characterized by strong non-peristaltic contractions of the body of oesophagus while sphincteric relaxation is normal. Clinical features:- The symptoms consist of dysphagia or odynophagia with substernal chest pain, simulating angina pectoris. Investigations:- Barium swallow may show segmented oesophageal spasms giving a rosary bead or a cork-screw type of oesophagus, though it may be normal in some. Manometry shows normal relaxation of the sphincter on swallowing. Treatment:- The treatment is dilatation of lower oesophagus. Severe cases may require myotomy of oesophagus from the arch of aorta to lower sphincter. Ref:- Dhingra; pg num:-344